Which one of the following statements about the management of patients with GI ulcers is accurate?
1. Overall, H2 receptor blockers are as effective as proton pump inhibitors.
2. Antimicrobial regimens that eradicate Helicobacter pylori are >98% effective in GI ulcers.
3. Omeprazole is effective because it activates PGE1 receptors.
4. Sucralfate polymerizes in the gut, forming a protective coat over ulcer beds.

Correct answer: 4. Sucralfate polymerizes in the gut, forming a protective coat over ulcer beds.

Explanation: Sucralfate polymerizes in the GI tract, forming a protective gel-like coating of ulcer beds -| healing and | ulcer recurrence. Overall, proton pump inhibitors such as omeprazole provide more rapid pain relief and faster healing than antihistamines in ulcers caused by acid secretion. Misoprostol activates PGE1 receptors, not omeprazole. Not all GI ulcers are associated with Helicobacter pylori, so a cure rate of 98% is not feasible in principle and (at best) is only in the 95% range in treatment of ulcers established to be associated with the bacterium. Anti-inflammatory steroids cause GI ulcers and would be contraindicated.